Psychodynamic model of disease explains the psychopathologic cause of all mental illness to be
1. Unconscious conflict
2. Mal adaptive
3. Cognition difficulties
4. Structural and functional defect in CNS

Correct answer: 1. Unconscious conflict

Explanation: Unconscious conflict The classic view of the genesis of neuroses, regards conflicts as essential. The conflict may arise between instinctual desire and external reality. Moreover because the conflict has not worked through to a realistic solution, the desirous wishes that seek discharge have been expelled from consciousness through repression or another defence mechanism. The unconscious tendencies then fight their way back into consciousness. According to Freud neurotic symptoms develop as a result of the failure of repression.